Abortions in the second trimester is mostly due to:
1. Incompetent cervix
2. Defective genes
3. Tuberculosis
4. Trauma

Correct answer: 1. Incompetent cervix

Explanation: Incompetent cervix